Highest mean and lowest mode indicates:
1. Positive skewing
2. Negative skewing
3. Normal
4. Symmetrical

Correct answer: 1. Positive skewing

Explanation: Ans. a. Positive skewing (Ref: Simple Biostatistics by Indrayan and Indrayan Central Tendency in Various Districution/III)DistributionCentral TendencyNormal (Gaussian) DistributionMean = Median = ModeQRight (Positive) Skew DistributionMean > Median > ModeQLeft (Negative) Skew DistributionMean < Median < ModeQ In Distribution with Extreme Values (Outliers)* Most affected measure of central tendencyMean* Least affected measure of central tendencyMode* Most preferable measure of central tendencyMedian